Non-modifiable risk factor for hypertension
1. Gender
2. Obesity
3. Salt intake
4. Cultural characteristic acquired over time

Correct answer: 1. Gender